DNase hypersensitive regions are
1. Methylated DNA
2. Heterochromatin region
3. Transcriptionally active chromatin
4. RNA bound DNA region

Correct answer: 3. Transcriptionally active chromatin

Explanation: DNase I (deoxyribonuclease I) Can digest the DNA. Can't act when the DNA is bound to proteins, i.e, heterochromatin state. Can act only when the chromatin is decondensed, So, sensitivity to DNase enzyme is indirectly proportional to the degree of compaction of chromatin. Regions of DNA which are actively transcribed are hypersensitive to DNase I digestion.